Blisters are classified as which type of burn?
1. Superficial first degree burn
2. Superficial second degree burn
3. Third degree
4. Deep first degree

Correct answer: 2. Superficial second degree burn

Explanation: ANSWER: (B) Superficial second degree burnREF: With text"Clinically, first-degree burns are painful but do not blister' REF: Schwartzs Principles of Surgery 9th edition Chapter 8. Bums'"Second-degree burns are divided into two types: superficial and deep- All second-degree bums have some degree of dermal damage, and the distinction is based on the depth of injury into this structure. Superficial dermal burns are erythematous and pamtul, blanch to touch, and often blister.First degree -Superficial second degree -Deep second degree -Third degree -Fourth degree -These wounds spontaneously re-epithelialize from retained epidermal structures in the rete ridges, hair follicles, and sweat glands in 7 to 14 days. After healing, these burns may result in some slight skin discoloration over the long term. Deep dermal burns into the reticular dermis appear more pale and mottled, do not blanch to touch, but remain painful to pinprick. These burns heal in 14 to 35 days by re-epithelialization from hair follicles and sweat gland keratinocytes, often with severe scarring as a result of the loss of dermis" REF: Sabiston Textbook of Surgery, 18th ed.